Which of the following hormones is elevated in small cell carcinoma of lung
1. PTH
2. ANF
3. Growth hormone
4. VIP

Correct answer: 2. ANF

Explanation: Hormones produced by small - cell cancer lung are :

ACTH.
AVP.
Calcitonin.
Gastrin releasing peptide.